Cold sterilization is -
1. Sterilization by negative temperature
2. Sterilization by ionizing radiation
3. Sterilization by liquid CO?
4. Sterilization by non-ionizing radiation

Correct answer: 2. Sterilization by ionizing radiation

Explanation: Ans. is 'b' i.e., Sterilization by ionizing radiation[Ref: Ananthanarayan 9th/e p. 33 & 8th/ep. 35; Greenwood 16th/ep. 73}o Sterilization by Ionizing radiation does not cause increase in temperature - Cold sterilization.o Ionizing irradiation used for sterilization - Greenwood 16th/e p. 73y (photon) irradiationP (electrons) irradiationRadiationNonionizingIonizing Gamma rays Heat labile instruments:InfraredU. V. radiation# Prepacked items such as syringes & catheters# Enter Ways# Operation theaters# Laboratoriesplastics, syringes, swabs, greases, surgical catgut, bone & tissue graft